The term 'id' was coined by ?
1. Freud
2. Skinner
3. Wayker
4. Blueler

Correct answer: 1. Freud

Explanation: Ans, A. FreudStructural theory of mind(theid, ego and superego) was given by sigmund freud.